A lady presented with fever and rashes, she returned from the USA gives a history of exposure to ticks. Most probable diagnosis is
1. Epidemic typhus
2. Scrub typhus
3. Rocky mountain fever
4. Oraya fever

Correct answer: 3. Rocky mountain fever

Explanation: Rocky mountain spotted fever caused by R.ricketsii is most serious type of spotted fever.it is prevalent in n.america and South America,transmitted by dermacabtor Andersoni and related sps of ticks Anantnarayan and paniker's 10th edition